Immunoglobulins are:
1. Proteins
2. Glycoproteins
3. Proteoglycan
4. Glycoside

Correct answer: 2. Glycoproteins

Explanation: Ans. B. GlycoproteinsBiologically Important GlycoproteinsQPlasma proteins (except albumin)Blood group substancesHormones (hCG, TSH, LH.FSHQ)Enzyme: Alkaline PhosphataseStructural protein: CollagenTransport proteins: Ceruloplasmin, Transferrin Glycoproteins